The postmarketing trial comes under
1. Phase 1 clinical trial
2. Preclinical trial
3. Phase 3 clinical trial
4. Phase 4 clinical trial

Correct answer: 4. Phase 4 clinical trial

Explanation: There are 4 phases of a clinical trial. Once the drug is released into market pharmacovigilance is done - comes under phase 4 of drug trial to asses the safety, cost effectiveness of the drug once marketed Ref: K.D.Tripati.7th ed. Pg 82-83